Which is true about the dislocation of hip joint?
1. Posterior dislocation is commoner
2. In posterior dislocation whole lower limb is rotated medially
3. In anterior dislocation whole lower limb is rotated laterally
4. All of the above

Correct answer: 4. All of the above

Explanation: Posterior dislocation is the commonest dislocation.
Posterior dislocation has typical deformity of flexion, adduction and internal (medial) rotation.
Anterior dislocation has deformity of flexion, abduction and external (lateral) rotation.